A 60 year old man with rheumatic mitral stenosis and atrial fibrillation is on therapy for a fast ventricular rate. While on treatment he develops a regular pulse of 64 beats/min. Which of the following is the probable drug that the patient is receiving ?
1. Verapamil
2. Digoxin
3. Carvedilol
4. Propranolol

Correct answer: 2. Digoxin